Which of the following is true regarding myringoplasty:
1. In underlay graft is placed medial to the annulus
2. In underlay graft is placed lateral to the malleus
3. In overlay graft is placed lateral to the malleus
4. In overlay graft is placed medial to the annulus

Correct answer: 1. In underlay graft is placed medial to the annulus

Explanation: (a) In underlay graft is placed medial to the annulus(Ref. Scott Brown, 8th ed., Vol 2; 1026)In both underlay and overlay, a portion of the graft is placed medial to the malleus.In underlay, graft is placed medial to the annulus, whereas in overlay graft is placed lateral to the annulus.